Flare in triple response is mediated by
1. Axon reflex
2. Arteriolar dilation
3. Histamine release
4. Local hormones

Correct answer: 1. Axon reflex